Trotters triad is seen in:-
1. Angiofibroma
2. Nasopharyngeal carcinoma
3. Laryngeal carcinoma
4. Growth in fossa of Rosenmuller

Correct answer: 2. Nasopharyngeal carcinoma

Explanation: Trotters triad is seen in nasopharyngeal carcinoma. "Nasopharyngeal carcinoma can cause conductive deafness (Eustachian tube blockage), ipsilateral temporoparietal neuralgia (involvement of CN V) and palatal paralysis (CN X)-collectively called Trotter's triad."